Which of the following is true about isotypic variation?
1. Subtle amino acid changes due to allelic difference
2. Changes in a heavy and light chain in variable region
3. Changes in heavy and light chain in constant region responsible for class and subtype
4. These are areas in antigen that bind specifically to antibody

Correct answer: 3. Changes in heavy and light chain in constant region responsible for class and subtype

Explanation: Ans (c) Changes in heavy and light chain in constant region responsible for class and subtype Ref. Ananthanarayan 8/e, p /01; DR Arora 3/e p 119 Isotopic specificities The antigenic specificities which distinguish between the different classes and subclasses of immunoglobulin present in all individual of a species,. e.g. Antigen specificity of IgA and IgG. They are located on (Constant) domains of Ig chains in all individual. Other immunoglobulin Specificity Idiotypic specificity - Specificity of greatest biological importance is idiotypic specificity, pertaining to the nature of antigen binding site. These are located on V region. Allotypic-specificity - Antigenic specificity which distinguishes immunoglobulins of the same class, between different groups of individual in the same species.